Weil's disease may be transmitted by:
1. Rat bite
2. Rat flea bite
3. Contact with water contaminated by rat urine
4. Respiratory route through secretion of patients

Correct answer: 3. Contact with water contaminated by rat urine

Explanation: Ans. C i.e. Contact with water contaminated by rat urine